Strychnine poisoning mimics -
1. LSD
2. Tetanus
3. Morphine
4. Amphetamine

Correct answer: 2. Tetanus

Explanation: Ans. is 'b' i.e., Tetanus * Strychnine poisoning and tetanus both cause convulsions with muscle spasticity as both are stimulant.Difference between strychnine poisoning and tetanus TraitStrychnine poisoningTetanus(1)History:No history of injury.History of injury present.(2)Onset:SuddenGradual(3)Convulsion:All muscles of the body are affected at a timeAll muscles are not affected at a time.(4)Lower jaw:Does not start in, nor especially affect the jawUsually starts in, and especially affects lower jaw.(5)Muscular condition :Between fits muscles are completely relaxed.Between fits muscles are slightly rigid.(6)Fatal period:One to two hours.More than twenty-four hours.(7)Chemical analysis:Strychnine found.No poison found.